Pancreatic pseudocyst most commonly occurs after ?
1. Trauma
2. Pancreatitis
3. Pancreatic surgery
4. Pancreatic malignancy

Correct answer: 2. Pancreatitis

Explanation: Ans. is 'b' i.e. Pancreatitis Most common cause of pancreatic pseudocyst is Pancreatitis (90%) The second most common cause is trauma (10%). Pseudocysts are seen in both acute and chronic pancreatitis.